Mediator present in mast cells is
1. Histamine
2. Encephalin
3. Calmodulin
4. None of these

Correct answer: 1. Histamine

Explanation: Mast cells release several different substances. Among them areHistamineSlow-reacting substance of anaphylaxis (which is a mixture of leukotrienes)Eosinophilic chemotactic factorBradykininRef: Guyton and Hall textbook of medical physiology 13th edition. Page:554